Nicotinamide is preferred over Niacin because?
1. Flushing is seen with niacin
2. Abdominal pain is seen with niacin
3. Breathlessness is seen with niacin
4. Less bioavailability

Correct answer: 1. Flushing is seen with niacin

Explanation: Flushing is seen with niacin REF: Nutrition Almanac by John D. Kirschmann, Nutrition Search, Inc page 31 Niacin causes sudden release of histamine which produces certain s/e which are not seen with nicotinamide Intense flushing Tingling Numbness Throbbing headache due to cerebral vasodilation.